Following is true for schizophrenia?
1. It is the disorder of thought
2. It is split personality
3. It is due to emotional turmoil
4. It is due to childhood trauma

Correct answer: 1. It is the disorder of thought

Explanation: It is a disorder of thought REF: Kaplan & Sadock's Synopsis of Psychiatry 10th Edition page 234, 277 See APPENDIX-73 for "SUBTYPES OF SCHIZOPHRENIA" "Schizophrenia is a Formal thought disorder" Thought can be divided into process (or form) and content. Process refers to the way in which a person puts together ideas and associations, the form in which a person thinks. Process or form of thought can be logical and coherent or completely illogical and even incomprehensible. Content refers to what a person is actually thinking about: ideas, beliefs, preoccupations, obsessions. I. Formal thought disorder: The patient may have either an overabundance or a poverty of ideas. There may be rapid thinking, which, if carried to the extreme, is called a flight of ideas. A patient may exhibit slow or hesitant thinking. It is characteristic of schizophrenia Few of formal thought disorders are as follows: Circumstantiality. Overinclusion of trivial or irrelevant details that impede the sense of getting to the point. Clang associations. Thoughts are associated by the sound of words rather than by their meaning (e.g., through rhyming or assonance). Derailment. (Synonymous with loose associations.) A breakdown in both the logical connection between ideas and the overall sense of goal-directedness. The words make sentences, but the sentences do not make sense. Flight of ideas. A succession of multiple associations so that thoughts seem to move abruptly from idea to idea; often (but not invariably) expressed through rapid, pressured speech. Neologism. The invention of new words or phrases or the use of conventional words in idiosyncratic ways. Perseveration. Repetition of out of context of words, phrases, or ideas. Tangentiality. In response to a question, the patient gives a reply that is appropriate to the general topic without actually answering the question. Example: Doctor: Have you had any trouble sleeping lately? Patient: I usually sleep in my bed, but now I'm sleeping on the sofa. 8. Thought blocking. A sudden disruption of thought or a break in the flow of ideas. II. Thought content disorder: Disturbances in content of thought include Delusions Preoccupations (which may involve the patient's illness) Obsessions Compulsions Phobias Recurrent ideas about suicide or homicide Hypochondriacal symptoms Specific antisocial urges